Most common cause of cervical neoplasia is
1. HPV 6
2. HPV 11
3. HPV 16
4. HPV36

Correct answer: 3. HPV 16

Explanation: Human papilloma virus *Oncogenic DNA virus which are grouped into high and oncogenic risk HPVs*High oncogenic risk HPVs(HPV16 and 18) -main cause of cervical cancers and also vaginal, vulvar, penile, anal, tonsillar and oropharyngeal carcinomas.*Low oncogenic risk HPVs (HPV 6 and 11) - causes vulvar, perineal and perianal condyloma accuminatum.*HPV produce two envelope proteins-E6 and E7. *E6 proteins inhibits p53, induce centrosome duplication, induce genomic instability and upregulates telomerase.*E7 promotes cell cycle by binding to RB and upregulates cyclin E, induce centrosome duplication and induce genomic instability (Ref: Robbins 8/e p1018)